Which of the following Osteotomy is carried out for mandibular deformity
1. Inverted 'L' Osteotomy
2. 'C' Osteotomy
3. Intraoral sagitall split Osteotomy
4. All of the above

Correct answer: 4. All of the above